The most common side effect associated with chronic use of phenothiazines is -
1. Akathisia
2. Parkinsonism
3. Tardive dyskinesia
4. Muscular dystonia

Correct answer: 3. Tardive dyskinesia

Explanation: Ans. is 'c' i.e., Tardive dyskinesia All the options mentioned in the question are extra pyramidal disorders seen with administration of phenothiazines. However Tardive dykinesia is the one, which occurs with chronic use, all others manifesting as more acute responses. Tardive dyskinesia o Purposeless involuntary facial and limb movements like constant chewing, pouting, puffing of cheeks, lip licking, choreoathetoid movements. o Occurs late in therapy, sometimes after withdrawl. o Occurs more commonly in elderly female. o It is due to progressive neuronal degeneration with supersensitivity to dopamine. o It is accentuated by central anticholinergic ---> contraindicated. o High doses of neuroleptics may suppress it, but it should not be tried except in exceptional circumstances.